Vitamin causing Encephalomalacia
1. Vit E
2. Vit A
3. Vit D
4. Vit B

Correct answer: 1. Vit E